Which of the following if seen on day 10 of life is worrisome?
1. Unconjugated hyperbilirubinemia
2. Conjugated hyperbilirubinemia
3. No weight again
4. Doll's eye reflex

Correct answer: 2. Conjugated hyperbilirubinemia

Explanation: Ans. b. Conjugated hyperbilirubinemia (Ref: Nelson 19/e p34, 640)Conjugated hyperbilirubinemia, if seen on day 10 of life is worrisome.'Hyperbilirubinemia is a common and, in most cases, benign problem in neonates. Nonetheless, untreated, severe indirect hyperbilirubinemia is potentially neurotoxic, and conjugated-direct hyperbilirubinemia often signifies a serious hepatic or systemic illness. Jaundice is observed during the 1st week of life in approximately 60% of term infants and 80% of preterm infants. - Nelson 19/e p640Neonatal Period (First 4 weeks)Visual Milestone: May fixate face or light in line of vision; 'doll's-eye' movement of eyes on turning of the body.Hyperbilirubinemia is a common and. in most cases, benign problem in neonates. Nonetheless, untreated, severe indirect hyperbilirubinemia is potentially neurotoxic, and conjugated-direct hyperbilirubinemia often signifies a serious hepatic or systemic illness. Jaundice is observed during the 1st week of life in approximately 60% of term infants and 80% of preterm infants.